Intense depression & misery, without any cause is seen in
1. Melancholic depression
2. Reactive depression
3. Schizophrenia
4. Mania

Correct answer: 1. Melancholic depression

Explanation: Melancholic depression is characterized by state of intense depression and feeling of misery without any cause.